Which of the following is a category X drug:
1. Itraconazole
2. Isotretinoin
3. Nitrofurantoin
4. Acyclovir

Correct answer: 2. Isotretinoin

Explanation: Itraconazole - category C Isotretinoin - category X Nitrofurantoin - Category B Acyclovir - category C Category X drugs are:- Alcohol Androgen ACE inhibitors Vitamin A Tetracycline Lithium Methotrexate Valproic acid Mifepristone Danazol Isotretinoin Radioactive lodine